Which is not done for shoulder dystocia?
1. Me Roberts maneuver
2. Wood's maneuver
3. Mauriceau Smellie viet technique
4. Zavanelli maneuver

Correct answer: 3. Mauriceau Smellie viet technique

Explanation: Ref: Dutta Textbook of Obstetrics 5th ed pg 406Explanation:SHOULDER DYSTOCIAIncidence 0.2 to 1 %Anterior or posterior shoulder impacts on maternal symphysis or sacral promonteryPredisposing factorsFetal macrosomiaObesityDiabetesMidpelvic instrumental deliveryPostmaturityMultiparityAnencephalyFetal ascitesMaternal complicationsPostpartum hemorrhageCervical tearsVaginal tearsPerineal tearsOperative deliveryFetal ComplicationsFetal--asphyxiaBrachial plexus injuryKlumpke's palsyFracture humerusClavicle fractureStemomastoid hematomaDiagnosisDefinite recoil of head against the perineumInadequate spontaneous restitution- Fetal face becomes plethoricManagement:Me Roberts maneuver -- Flexing maternal thighs on abdomen straightens sacrumSuprapubic pressure reduces bisacromial diameterVVood's maneuver--Under general anesthesia posterior shoulder rotated anteriorlyCleidotomy --Cutting clavicle in anencephaly or dead fetusZavanelli maneuver--Pushing fetus inside and doing caesarean section or symphy-siotomyMauriceau-Smellie-Veit maneuver or Mauriceau maneuver: It is an obstetric or emergent medical maneuver utilized in cases of breech delivery.